Which of the following is not a stage in the progression of community-acquired pneumonia?
1. Red hepatisation
2. Liquefaction necrosis
3. Edema
4. Grey hepatisation

Correct answer: 2. Liquefaction necrosis

Explanation: Pathological stages in CAP are edema, red hepatization, grey hepatization and resolution.